Which of the following fractures is associated with high mortality and morbidity ?
1. Femur Shaft fractures
2. Pelviacetabular fractures
3. Subtrochanteric fractures
4. Shaft tibia fractures

Correct answer: 2. Pelviacetabular fractures

Explanation: Answer- B. Pelviacetabular fracturesPelviacetabular fractures are associated with high morbidity and mortality because :Theyare caused by high velocity injuriesThey can have associated compound fractures alongThere may be damage to associated pelvic and abdominal organsThere is significant blood loss present usually